Maximum pressure in the left ventricle is seen in which phase of the cardiac cycle
1. Isovolumetric contraction
2. Ventricular ejection
3. Protodiastole
4. Rapid ventricular filling

Correct answer: 2. Ventricular ejection

Explanation: The maximum ventricular pressure around 140 mm Hg is achieved during the rapid ejection phase Ref: Ganong 25th ed/page 540